All the following diseases are associated with HILA B - 27 & Uveitis, except -
1. Bechcet's syndrome
2. psoriasis
3. Ankylosing Spondylitis
4. Reiter's syndrome

Correct answer: 1. Bechcet's syndrome